In case of vesicoureteric reflux which will be inv. Of choice -
1. Micturating cystourethrogram
2. IVP
3. Cystography
4. Radionucletide study

Correct answer: 1. Micturating cystourethrogram